Quincke's disease is
1. Norwegian scabies
2. Angioneuritic edema
3. Seborrhea olessa
4. Saddle nose

Correct answer: 2. Angioneuritic edema

Explanation: Angioedema is an area of swelling of the lower layer of skin and tissue just under the skin or mucous membranes.The swelling may occur in the face, tongue, larynx, abdomen, or arms and legs. Often it is associated with hives, which are swelling within the upper skin.Onset is typically over minutes to hours Ref Harrison20th edition pg 1567